Muscle relaxant of choice in renal and hepatic failure
1. Cis Atracurium
2. Vecuronium
3. Rocuronium
4. Rapacuronium

Correct answer: 1. Cis Atracurium

Explanation: Refer Katzung 9/e p432 Atracurium and cis-Atracurium are muscle relaxants of choice for renal and hepatic failure patients